Stomach derives its blood supply from all these arteries directly or indirectly except -
1. Splenic artery
2. Hepatic artery
3. Superior mesenteric artery
4. Celiac axis

Correct answer: 3. Superior mesenteric artery